Most common cause of optic neuritis
1. Ethyl alchol
2. Anterior ischeamic optic neuropathy
3. Leber's disease
4. Multiple sclerosis

Correct answer: 4. Multiple sclerosis

Explanation: M/C cause - Multiple sclerosis, Vit B12 deficiency, B2 deficiency.